Most oxygenated fetal vessel is?
1. Umbilical artery
2. Ductus arteriosus
3. Umbilical vein
4. Ductus venosus

Correct answer: 3. Umbilical vein

Explanation: Most oxygenated fetal vessel is umbilical vein 80% (Max umbilical vein 80% > ductus venosus > IVC > left ventricle > right ventricle ) Least is umbilical artery as carries deoxygenated blood to placenta FETAL CIRCULATION Placenta(source of oxygen for fetus) --------- umbilical cord(1 vein and 2 artery), veins carry oxygenated blood spo2 80% ---------joins portal vein portal venous blood instead of going through hepatic circulation goes directly to IVC ductus venosus with spo2 70% --------- blood enters the right atrium 1/3 straight to left atrium while 2/3 goes to right ventricles along with deoxy blood coming from SVC as SVC is situated straight abv downward direction deoxy blood mainly goes to right ventricle while left ventricle is getting oxygenated blood with spo2 65% (while right ventricle has spo2 55-60%)